Which is the most common childhood CNS tumor metastasize outside brain?
1. Ependymoma
2. Glioblastoma multiforme
3. Choroid plexus tumor
4. Medulloblastoma

Correct answer: 4. Medulloblastoma

Explanation: "Medulloblastoma is the childhood brain tumor that most commonly metastasizes extraneuronally."- Nelson 
Also know
There are age-related differences in primary location of tumor.